Gunstock deformity is due to
1. Fracture of 1st metacarpal bone
2. Fracture of lower end of radius
3. Supracondylar fracture of humerus
4. Lateral condylar fracture of humerus

Correct answer: 3. Supracondylar fracture of humerus

Explanation: C i.e. Supracondylar fracture humerus